The medial longitudinal arch of the foot is maintained by all of the following structures except :
1. Peroneus longus
2. Tibialis posterior
3. Flexor digitorum longus
4. Plantar aponeurosis

Correct answer: 1. Peroneus longus

Explanation: Peroneus longus muscle maintains the lateral longitudinal arch and not medial arch. Features Medial Longitudinal arch Lateral longitudinal arch Anterior pillar Talus, navicular, 3 cuneiform and 1st, 2nd and 3rdmetatarsal Cuboid and 4th, 5thmetatarsals Posterior pillar Medial half of calcaneum Lateral half of calcaneum Main joint involved Talo calcaneonavicular joint (TCN) Calcaneocuboid joint Summit Superior articular surface of Talus Superior articular surface of calcaneum at the leveled Subtalar joint Extremities (piers) Tuberosity of calcaneum posteriorly and Heads of 1st, 2nd, 3rdmetatarsal anteriorly Plantar surface of calcaneum posteriorly and Heads of 4th, 5thmetatarsals anteriorly Ligament/intersegmental ties Plantar calcaneonavicular ligament (spring ligament) Long and short plantar ligaments Tie beams Plantar aponeurosis (medial part)Abductor hallucisMedial part of flexor digitorum brevis Plantar aponeurosis (lateral part)Abductor digiti minimi Slings Tibialis posteriorFlexor hallucis longusFlexor digitorum longusSling formed by tibialis anterior and peroneus longus Peroneus longus Peroneus brevis medial longitudinal arch lateral longitudinal arch